Investigation to be done immediately when an unstable patient comes with blunt abdominal trauma is -
1. USG
2. CT Scan
3. Complete Hemogram
4. Abdominal Xray

Correct answer: 1. USG

Explanation: Ans. is 'a' i.e., USG Stable patient - CT Unstable patient - FAST